Zona glomerulosa secretes
1. Aldosterone
2. Cortisol
3. Testosterone
4. Catecholamines

Correct answer: 1. Aldosterone

Explanation: Zona glomerulosa is the outer layer of the cortex of the suprarenal gland just beneath the capsule; secretes aldosterone.Aldosterone is a mineralocorticoid hormone produced by the zona glomerulosa of the adrenal cortex; its major action is to facilitate potassium exchange for sodium in the distal renal tubule, causing sodium reabsorption and potassium and hydrogen loss. Cortisol is the principal glucocorticoid produced by the zona fasciculata of the adrenal cortex. It promotes gluconeogenesis and lipolysis, suppresses protein synthesis, inhibits inflammatory and immune responses, and has mild mineralocorticoid (for example, hypernatremic, kaliuretic, antidiuretic) effects.Testosterone the principal male sex hormone (androgen) that is produced by Leydig's cells of the testes in response to luteinizing hormone secreted by the pituitary gland. It is also produced by the adrenal cortex in both males and females. Its chief function is to stimulate the development of the male reproductive organs, including the prostate, and the secondary sex characters, such as the beard. It encourages the growth of bone and muscle and helps maintain muscle strength.Catecholamines are any of a group of monoamines, including epinephrine, norepinephrine, and dopamine, that act as neurotransmitters and hormones.Ref: Ganong's review of medical physiology;24th edition; page no-354